Bile salts undergo xenobiotics -
1. After conjugation with taurine and glycine
2. After conjugation with lysine
3. After conjugation with betaglucuronic acid
4. After conjugation with derived proteins

Correct answer: 1. After conjugation with taurine and glycine

Explanation: Bile acids (primary bile acids) are cholic acid and chenodeoxycholic acid.
Prior to the secreting them into bile, liver cell conjugates them with one of the two amino acids glycine or taurine to form bile salts, i.e. glycine or taurine conjugates of bile acids are called bile salts, which are secreted into bile.